A bilipid layer is most permeable to
1. Potassiumq
2. Sodium
3. Glucose
4. Urea

Correct answer: 4. Urea

Explanation: This Flip-flop movement is catalyzed by enzymes. Flippases catalyse the transfer of amino phospholipids across the membrane. Floppases catalyse the outward directed movement which is ATP dependent. This is mainly seen in the role of ABC proteins mediating the efflux of cholesterol and the extrusion of drugs from cells. The MDR (multidrug resistance) associated p-glycoprotein is a floppase. Urea is the most permeable substance across the cell membraneRef: DM Vasudevan, page no: 11